In the management of symptomatic Benign Prostatic Hyperplasia with finasteride the period of trial required for determining a satisfactory response is
1. 1 month
2. 2 months
3. 4 months
4. 6 months

Correct answer: 4. 6 months

Explanation: Finasteride is 5-alpha reductase inhibitor which inhibits conversion of testosterone to dihydrotestosterone. It is effective in palpably enlarged prostate(>50g). 5mg is used daily for at least 6 months for satisfactory response. It has fewer side effects. It is contraindicated in obstructive uropathy or carcinoma prostate.Reference : page 1047 SRB's manual of surgery 5th edition and page 1350 Bailey and Love's short practice of surgery 25th edition